Diagnostic test of choice for neurosyphilis is ?
1. VDRL
2. TA-ABS
3. TPI
4. RPR

Correct answer: 1. VDRL

Explanation: Ans. is 'a' i.e., VDRL